Eye of the hand is
1. Median Nerve
2. Ulnar Nerve
3. Radial Nerve
4. Posterior Interosseous Nerve

Correct answer: 1. Median Nerve

Explanation: The median nerve controls coarse movements of the hand, as it supplies most of the long muscles of the front of the forearm. It is, therefore, called the labourer's nerve. It is also called "eye of the hand" as it is sensory to most of the hand.Reference: Vishram Singh Anatomy; 2nd edition; Page no: 177